Classical cesarean section is done in?
1. Carcinoma Cervix
2. Placenta previa
3. Previous cesarean
4. Failed trial of labour

Correct answer: 1. Carcinoma Cervix

Explanation: ANSWER: (A) Carcinoma CervixREF: Current Diagnosis 8; Treatment Obstetrics & Gynecology, 10th edition Chapter 30The currently accepted indications for classical cesarean section are:1. Perimortem Cesarean DeliveryPlacenta previa with fetal malpresentation such as transverse lie.Preterm delivery in which the lower uterine segment is poorly developed.Carcinoma cervix